Antagonist which generates an action opposite to a substance but by binding to the different receptors is known as:
1. Physical antagonist.
2. Chemical antagonist.
3. Physiological antagonist.
4. Pharmacologic antagonist.

Correct answer: 3. Physiological antagonist.